A 25 years old female complains of recurrent rhinitis, nasal discharge and bilateral nasal blockage since one year. She has a history of asthma and allergy. On examination, multiple ethmoidal polyps are noted with mucosal thickening and impacted secretions in both the nasal cavities. A biopsy is taken and the material is cultured which show the growth of many hyphae and pseudohyphae with dichotomous branching typically at 45°. Which of the following is the most likely responsible organism?
1. Aspergillus fumigatus
2. Rhizopus
3. Mucor
4. Candida

Correct answer: 1. Aspergillus fumigatus

Explanation: Information provided in this question are : -


Recurrent rhinitis, nasal discharge, bilateral nasal blockage.
H/O asthma and allergy
Hyphae with dichotomous branching at 45°C.


All suggest the diagnosis of Aspergillus fumigatus.


Most common type of fungal infection of the nose and paranasal sinuses are due to Aspergillus.
The most common fungus causing an allergy is aspergillus.
Aspergillus has septate hyphae that branch typically at 45°C (V-shaped).